Cleft palate is ideally repaired at -
1. 5 month of age
2. 1 year of age
3. Before going to school
4. 6-8 years of age

Correct answer: 2. 1 year of age

Explanation: The timing of Repair of Cleft Palate 

According to Sabiston - before 12 months
According to Schwartz — at 9 to 12 months of age
According to Bailey & Love - between 6 and 18 months

Sabiston writes- "The timing of cleft repair is important, and a general recommendation is lip repair at 3 months, palate repair by 12 months, and alveolar bone grafting at about 9 years"